Beta2 adrenergic receptors are not found on:
1. Arterioles
2. Veins
3. Adipose Tissue
4. Uterus

Correct answer: 3. Adipose Tissue

Explanation: Ans. C: Adipose TissueBeta receptors:Beta 1 - Heart, JG cells in kidney.Beta 2 - Bronchi, blood vessels, uterus, liver, g.i.t, urinary tract, eyeBeta 3 - adipose tissue